Which of the following is a parasympatholytic agent?
1. Atropine
2. Neostigmine
3. Pyridostigmine
4. Acetylcholine

Correct answer: 1. Atropine

Explanation: Ans. (a) AtropineRef .KDT 6/e/103